True statement about influenza A virus:
1. It has a double stranded segmented RNA
2. Pandemics are caused by antigenic drifts
3. Nucleocapsid antibody is not specific
4. Hemagglutinin and neuraminidase are strain specific

Correct answer: 4. Hemagglutinin and neuraminidase are strain specific